True about Hirshprug's disease –
1. Aganglionic segment is contracted not dilated
2. Descending colon is most common site
3. Barium enema is diagnostic
4. Barium enema shows calcification

Correct answer: 1. Aganglionic segment is contracted not dilated